Capillary fill fast in which of the following type of shock:
1. Septic
2. Hypovolumic
3. Hemorrhagic
4. Obstructive

Correct answer: 1. Septic

Explanation: Ans. A i.e. Septic shock Harrison's Medicine, 16th ed., p-1604 states that capillary refill time is prolonged in hypovolemic shock Capillary refill It is the rate at which blood refills empty capillaries. It can be measured by holding a hand higher than heart-level (prevents venous reflux), pressing the soft pad of a finger or toe until it turns white, and taking note of the time needed for the color to return once pressure is released. Normal refill time is less than 2 seconds. In newborn infants, capillary refill can be measured by pressing on the sternum for five seconds with a finger or thumb, and noting the time needed for the colour to return once the pressure is released. The upper normal limit for capillary refill in newborns is 3 seconds. The capillary refill time (CRT) is a common indication of dehydration and decreased peripheral perfusion. It is very useful as supporting evidence for a positive sign of poor perfusion to the extremities. The CRT test is often referred to as the Nail blanch test. Septic shock In early stages of septic shock (the hyperdynamic phase), patients may show dark red mucous membranes with a short capillary refill time (CRT In more advanced stages mucous membranes may seem grey and dry and there will be an increased CRT and weak pulses.